Progressive multifocal leukoencephalopathy is caused by -
1. CMV
2. EBV
3. JC virus
4. RSV

Correct answer: 3. JC virus

Explanation: PMK is caused by JCV (belings to polyoma viruses) REF:ANATHANARAYANAN MICROBIOLOGY NINTH EDITION PAGE.554